Dow nward and outward movement of eyeball is caused by
1. Inferior oblique
2. Superior oblique
3. Lateral rectus
4. Medial rectus

Correct answer: 2. Superior oblique

Explanation: (B) Superior obliqueACTIONS OF THE EXTRAOCULAR MUSCLESMusclePrimary actionSubsidiary actionsMedial Rectus (MR)AdductionNoneLateral Rectus (LR)AbductionNoneSuperior Rectus (SR)Elevation (best when eye is in abducted position)Incycloduction (intorsion) and adductionInferior Rectus (IR)Depression (best when eye is in abducted position)Excycloduction (extortion) and adductionSuperior Oblique (SO)Incycloduction (intorsion)Depression (best when eye is in adducted position) & abductionInferior Oblique (I0)Excycloduction (extortion)Elevation (best when eye is in adducted position) and abduction